"Erotomania" refers to:
1. Dread of the closed spaces
2. Dread of the strangers
3. Dread of the high places
4. Common in women, that a man is deeply in love with them

Correct answer: 4. Common in women, that a man is deeply in love with them

Explanation: (Common in women, that a man is deeply in love with them): Ref: 86 - NA 5th)Clerambault's syndrome or erotomania: - Occurring most often in women, there is an erotic conviction that a person with higher status is in love with the patients* Acrophobia: - dread of high places* Agoraphobia: - dread of open places* Algophobia: - dread of pain* Claustrophobia: - dread of closed places* Xenophobia: - dread of strangersOthello-svndrome or conjugal paranoia: - delusions is predominantly Jealousy (Infidelity) involving the spouse